Button hole sign is seen in:
1. Lupus vulgaris
2. Intertigo
3. Neuro fibromatosis
4. Psoriasis

Correct answer: 3. Neuro fibromatosis

Explanation: Due to defect in dermis, pressure on a neurofibroma gives a feeling of hole in dermis, which is called as Button hole sign.